Early loss of bladder control is seen in-
1. Conus medullaris
2. Cauda equina
3. Gullain barre syndrome
4. Amyotrophic lateral sclerosis

Correct answer: 1. Conus medullaris

Explanation: Ans. is 'a' i.e., Conus medullariso Loss of bladder control is an early and marked feature of conus medullaris.Bladder involvement||||Conus medullarisCauda equinaGuillain Barre svndromeAMLSo Presen early in the course of disease# Over flow urinary incontinence, fecal Incontinenceo Tends to presents late in the course of the disease# Urinary incontinenceo Bladder involvement uncommon, if involved only, it suggests other diagnostic possibilitieso Bladder, bowel preserved even up to late stages